Which of the following murmurs increase with valsalva maneovre
1. Mitral stenosis
2. HOCM
3. Mitral Regurgitation
4. Aortic stenosis

Correct answer: 2. HOCM

Explanation: Answer is B (HOCM) Murmur of HOCM typically increases with Valsalva maneuver. 'Most murmurs decrease in length and intensity with Valsalva Maneuver. Two exceptions are the systolic murmur of HOCM which usually becomes much louder and that of MVP which becomes longer and often louder' -- Harrison